Cells are most radio-resistant in
1. S phase
2. M phase
3. G1 phase
4. G2 phase

Correct answer: 1. S phase

Explanation: Cell cycle Correct sequence: G0-G1-S-G2-M Most important checkpoint: G1-S Cellular content doubled in: S phase Cyclins D,E,A,B appears sequentially Cyclin D - first to increase in cell cycle Cyclin D - controls G1-S transition P16 (CDKN2A), P53& RB - Induce cell cycle arrest at G1-S Cyclin B - controls G2-M transition Fixed time is required for: S & M phase Most radio-resistant phase: S Most radio-sensitive phase: M